Nikolsky sign not present in -a) Pemphigusb) Pemphigoidc) Vitiligod) Staphylococcal scalded syndrome
1. cd
2. bc
3. bd
4. ac

Correct answer: 2. bc